Forced inversion in plantar flexed foot injures?
1. Talofibular ligament
2. Deltoid ligament
3. Medial collateral ligament
4. All above

Correct answer: 1. Talofibular ligament

Explanation: ANSWER: (A) Talofibular ligamentREF: Apley's 8th ed p. 733 Inversion injury at ankle leads toLateral collateral ligament injury (anterior talofibular > calcaneofibular > posterior talofibular)Peroneal tendon injuryAvulsion fracture of tip of lateral malleolusAvulsion fracture of anterolateral surface of talus and calcaneumFracture of base of 5th metatarsal